which is the mood stabilizer with narrow therepautic index
1. lithium
2. valproate
3. carbamezepine
4. lamotrigine

Correct answer: 1. lithium

Explanation: - Lithium has a narrow therapeutic index - GIT == diarrhea, vomiting - NEUROLOGICAL=== tremor, co ordination - Therapeutic level is 0.8-1.2meq/l - HEMODIALYSIS is the TOC for lithium toxicity Ref. kaplon and sadock, synopsis of psychiatry, 11 th edition, pg no. 935